Type 4 Bismuth classification for cholangiocarcinoma:
1. Common hepatic duct
2. Bifurcation only
3. Bifurcation and bilateral secondary intrahepatic ducts
4. Bifurcation and unilateral secondary intrahepatic ducts

Correct answer: 3. Bifurcation and bilateral secondary intrahepatic ducts

Explanation: Ans. (c) Bifurcation and bilateral secondary intrahepatic ductsRef: Sabiston 20th edition Page 1517As per Bismuth Corelette Classification:* Type 4 is involvement of Bilateral 2nd order Bile ducts.